Which of the following is the single most important predictor of clinical success of a cast post and core?
1. Amount of remaining coronal tooth structure.
2. Post length.
3. Post diameter.
4. Positive horizontal stop.

Correct answer: 1. Amount of remaining coronal tooth structure.

Explanation: The length, canal enlargement, and a finish line for the post are unimportant, if there is no sound remaining coronal tooth structure to get a ferrule of the final restoration.